Kisselbach's plexus is situated in-
1. Anteroinferior part of nasal septum
2. Woodruffs area
3. Near superior turbinate
4. Posterior nasal cavity

Correct answer: 1. Anteroinferior part of nasal septum

Explanation: Ans. is 'a' i.e., Anteroinferior part of nasal septum Little's area:-o Situated in the anterior inferior part of nasal septum, just above the vestibule.Four arteries supply this area:o Anterior ethmoidal artery.o Septal branch of superior labial artery (Branch of facial A)o Septal branch of sphenopalatine artery (Branch of maxillary A)o Greater palatine artery (Branch of maxillary A).o These arteries anastomose to form a vascular plexus called ''Kiesselbach's plexus".